Hypocalcemia with hyperphosphatemia are seen in-a) CRFb) Pseudohypoparathyoidsmc) Vit-D deficiencyd) Magnesium deficiency
1. ab
2. a
3. ad
4. bc

Correct answer: 1. ab